Mutation in Marfan's syndrome g is ?
1. Fibrillin I
2. Fibrillin II
3. Collagen I
4. Collagen IV

Correct answer: 1. Fibrillin I

Explanation: Ans. is 'a' i.e., Fibrillin I